Reflex hallucination is a pathological variation of which of the follwoing?
1. Kinesthesia
2. Paresthesia
3. Hyperesthesia
4. Synanaesthesia

Correct answer: 4. Synanaesthesia

Explanation: Reflex hallucination is a morbid form of synaesthesia. In a reflex hallucination a stimulus in one sensory field produces a hallucination in another.